with worst prognosis-
1. 8/21 translocation
2. Inversion 16
3. Normal cytogenetics
4. Monosomy 7

Correct answer: 4. Monosomy 7

Explanation: Monosomy 7 or partial deletion of the long arm of chromosome 7 (7q-) is a frequent cytogenetic finding in the bone marrow of patients with myelodysplasia (MDS) and acute myelogenous leukemia (AML) has worst prognosis Ref Davidson 23rd edition pg 789